The cutting efficiency of a bur is improved by
1. Applying more pressure
2. More number of blades
3. Large size of bur
4. Rake angle

Correct answer: 4. Rake angle